Compared with cow's milk, mother's milk has more?
1. Lactose
2. Vitamin D
3. Proteins
4. Fat

Correct answer: 1. Lactose

Explanation: Mother's milk has more lactose as compared to cow's milk.